Honey comb liver is seen in ?
1. Micronodular cirrhosis
2. Dubin Johnson's syndrome
3. Actinomycosis
4. Hydatidosis

Correct answer: 3. Actinomycosis

Explanation: Ans. is 'c' i.e., Actinomycosis